Organs first to be injured in blast-
1. Ear, lung
2. Kidney, spleen
3. Pancreas, duodenum
4. Liver, muscle

Correct answer: 1. Ear, lung

Explanation: Ans. is 'a' i.e., Ear, lung Commonest organ injured in blasts:o Air blast f most common)Tympanic membrane is most sensitive & most commonly injuredLung is second most sensitive.lung is the most common cause of life threathening injury.Middle ear & cochleaEyesBowels, mesentry & omentumBrainHomogenous solid organs eg. Liver, kidney, muscle are usually not affectedo Under water blastGastrointestinal tract (most common)Lungs due to pressure transmitted from abdomen through diaphragmNo injury due to secondary impact so very little external but massive internal damage